Drug of choice for malignant neuroleptic syndrome:
1. Danazol
2. Dantrolene
3. Propranolol
4. Diazepam

Correct answer: 2. Dantrolene

Explanation: Ans. B. DantroleneMalignant neuroleptic syndrome is type of Extrapyramidal side effect seen with antipsychotic drugs. It is characterized by hyperthermia, rigidity and altered mental state. It is usually treated by Dantrolene which causes muscle relaxation. Bromocriptine is also indicated for this condition.